All of the following cardiovascular physiological changes occur in pregnancy EXCEPT
1. Increased cardiac output
2. Increased heart rate
3. Increased stroke volume
4. Increased systemic vascular resistance

Correct answer: 4. Increased systemic vascular resistance

Explanation: (D) Increased systemic vascular resistance # Physiological Changes seen in Cardio-Vascular System in Pregnancy:> Raised pulse rate by about 10 beats|min.> Lateral & upward displacement of apex.> Exaggerated splitting of first heart sound.> Systolic murmur intensifying during inspiration.> Decreased arterial blood pressure & vascular resistance.> Increased cardiac output more in lateral recumbent position.